Not a contraindication of routine Tonsillectomy -
1. Upper respiratory tract infections
2. Bleeding disorder
3. Diphtheria carriers
4. Cleft palate

Correct answer: 3. Diphtheria carriers